Hypersensitivity vasculitis is seen in
1. Postcapillary venules
2. Arterioles
3. Veins
4. Capillaries

Correct answer: 1. Postcapillary venules

Explanation: The term cutaneous vasculitis is defined broadly as inflammation of the blood vessels of the dermis. Due to its heterogeneity, cutaneous vasculitis has been described by a variety of terms including hypersensitivity vasculitis and cutaneous leukocytoclastic angiitis. The typical histopathologic feature of cutaneous vasculitis is the presence of vasculitis of small vessels. Postcapillary venules are the most commonly involved vessels; capillaries and arterioles may be involved less frequently. ( Harrison's principle of internal medicine,18th edition,pg no. 2798)